Dorsal column carries:
1. Fine touch
2. Crude touch
3. Temperature
4. Pain

Correct answer: 1. Fine touch

Explanation: SOMATOSENSORY PATHWAYS
1)  Dorsal Column Pathway: This carries pressure (high degree localizing pressure),vibrating proprioception, fine touch and two-points discrimination
2)  Anterior Spinothalamic Tract: This carries crude touch and pressure(crude localizing ability), Tickele and itch sensation, sexual sensations
3)  Lateral Spinothalamic Tract: This carries pain and temperature